All of the following are features of Ehler-Danlos syndrome except:
1. Blue sclera
2. Long stature
3. Subluxation of lens
4. Epicanthal folds

Correct answer: 2. Long stature

Explanation: Ans. Long stature